A new drug approved for treatment of 'off phenomenon' in Parkinsonism:
1. Safinamide
2. Evenamide
3. Lacosamide
4. Ziconotide

Correct answer: 1. Safinamide

Explanation: Safinamide: Orally active Selective, reversible monoamine oxidase-B inhibitor with both dopaminergic and non-dopaminergic (glutamatergic) properties.